Gall bladder response in case of  extreme starvation is
1. Distended
2. Collapsed
3. No change
4. Cant say

Correct answer: 1. Distended